Kwashiorkor is similar to marasmus in that both diseases have
1. A normal total caloric intake
2. A fatty liver
3. An apathetic affect
4. Anemia

Correct answer: 4. Anemia

Explanation: Both marasmus and kwashiorkor are associated with anemia.
Marasmus is characterized by a low calorie intake. Dietary deficiencies are compensated for by the breakdown of protein and fats. Key findings include:
Growth failure, Alertness, Hunger, Monkey-like appearance , Broomstick extremities , Muscle wasting, Mild anemia
Kwashiorkor is characterized by a normal total caloric intake but a decreased intake of protein (minimum protein intake is 8% of the total calories). Key findings are as follows:

Growth failure
Apathy and irritability with difficulty in feeding
Hepatomegaly (fatty liver)à apoprotein deficiency
Pitting edema
Flaky paint dermatitis (looks like paint coming off a building)
Areas of depigmentation
Diarrhea due to the loss of brush border enzymes

       ("use it or lose it") and parasitic diseases

Flag sign in hair (alternating dark and light areas)
Protuberant abdomen (fatty liver from decreased apoproteins, ascites, bowel distention with air)